Tandem bullet is?
1. Bullet which left for long in the body
2. Bullet not released on first fire but comes out with second bullet on second shot
3. Bullet that leaves a visible mark in path that a person can see
4. Bullet deviated from its path

Correct answer: 2. Bullet not released on first fire but comes out with second bullet on second shot

Explanation: Ans is 'b' i.e. Bullet not released on first fire but comes out with second bullet on second shot Tandem bullet (Piggey tail bullet)o It is called one-behind-other bullet because two bullets are ejected one after the other, when first bullet failed to leave the burrel and is ejected by subsequently fired bullet.o Therefore, both enter body through same entrance wound (sometimes, they may enter through different entries), but the wounds of exit are always two.About other optionso Bullet which left for long in the body - Souvenir bulleto Bullet that leaves a visible mark in path that a person can see - Tracer bulleto Bullet deviated from its path - Ricocheting of bullet